Infective form of malarial parasite is:
1. Sporozoites
2. Merozoite
3. Trophozoite
4. Schizont

Correct answer: 1. Sporozoites

Explanation: Ans. A: Sporozoites The sporozoites are the infective form of malarial parasite